The Cardinal movements in sequence in labour are :-
1. Engagement-flexion-descent-internal rotation-extension-ext. rotation
2. Engagement-flexion-descent-external rotation-expulsion
3. Engagement-descent-flexion-internal rotation-extension-external rotation
4. Engagement-extension-internal rotation-external rotation-expulsion

Correct answer: 3. Engagement-descent-flexion-internal rotation-extension-external rotation

Explanation: Cardinal movements in sequence in labour are - Head floating-Engagement-Descent- Flexion -->Internal rotation-Extension- External rotation- Anterior shoulder delivered- Posterior shoulder delivered